Laser Endometrial ablation is done in abnormal uterine bleeding in all cases except
1. Women not preferring surgery
2. Small uterine fibroids
3. Women preferring reproductive function
4. Failed medical treatment

Correct answer: 3. Women preferring reproductive function

Explanation: Females who desire future pregnancy should not be offered endometrial ablation for AUB.